All changes occur in fibroid uterus except :
1. Atrophy
2. Squamous metaplasia
3. Calcification
4. Hyaline dogeneration

Correct answer: 2. Squamous metaplasia

Explanation: Ans. is b i.e. Squamous metaplasia Fibromyoma can have following complications and r4----,:ative changes. Complication Changes / Degenerations Torsiondeg Haemorrhagedeg Infectiondeg Ascites; Pseudo-Meig's Syndromedeg (Produced by pedunculated deg subserous fibroid) deg Maliy iant changedeg (rarest) - Avoid = Atrophy - Red = Red degeneration - Hot = Hyaline degeneration (MC) - Fatty = Fatty degeneration or calcification -Meat = Myxomatous degeneration - chicken = Cystic degeneration (Mnemonic : Avoid Red hot fatty meat of chicken) Also know : Most common degeneration : Hyaline degeneration.deg Degeneration starts from the central part.deg Calcification starts in periphery (Womb stone).deg Most uncommon (Rarest) change in fibroid is malignant change / sarcomatous change.deg It occurs in 0.5%deg cases of fibroid.